Barrier method -a) Hormonal contraceptiveb) IUDc)  Condomd)  Diaphragm
1. ab
2. bc
3. bd
4. cd

Correct answer: 4. cd